Median Nerve supplies all EXCEPT:
1. Opponens pollicis
2. Adductor pollicis
3. Flexor pollicis brevis
4. Abductor pollicis brevis

Correct answer: 2. Adductor pollicis

Explanation: ANSWER: (B) Adductor pollicisREF: http://en.wikipedia.org/wiki/Median_nerve, Grays anatomy, 39th edition, P 931,932 See chart of previous question for explanation